Which of the following Inhibits theophylline metabolism?
1. INH
2. Griseofulvin
3. Prednisolone
4. Ciprofloxacin

Correct answer: 4. Ciprofloxacin

Explanation: Plasma concentration of theophylline, warfarin is increased by enzyme inhibitors like ciprofloxacin (also by norfloxacin and pefloxacin) due to inhibition of metabolism: toxicity of these drugs can occur. ESSENTIALS OF MEDICAL PHARMACOLOGY 6TH EDITION KD TRIPATHI Page No:689